A 60 years old diabetic male presented to the emergency with cough and sputum production, fever with chills and rigor. The chest X-ray was done and the finding is given below. Which of the following is an indication for surgery?
1. Failure to respond to medical management
2. Suspected neoplasm
3. Hemorrhage
4. All of the above

Correct answer: 4. All of the above

Explanation: Lung Abscess: - Cough - Sputum - Fever with chills & rigors - MC organism responsible - Anaerobes - T/t - Clindamycin - Indications for Sx: 1. Failure to respond to medication 2. Suspected neoplasm 3. Hemorrhage